Late onset hemorrhagic disease of newborn is characterized by all of the following features except –
1. Usually occurs in cow–milk fed babies
2. Onset occurs at 4–12 week of age
3. Intracranial hemorrhage can occur
4. Intramuscular vitamin K prophylaxis at birth has a protective role

Correct answer: 1. Usually occurs in cow–milk fed babies

Explanation: "Haemorrhagic disease of new born is more common in breast fed infants because breast milk is a poor source of vitamin K"
What is haemorrhagic disease of new born

It is a haemorrhagic disease of new born characterized by bleeding from various sites due to a transient deficiency of vitamin K dependent factors (II, VII, IX & X). .
Breast milk is a poor source of vitamin K and haemorrhagic manifestation are more common in breast fed infants.

Classification. etiological presentation. prevention and incidence of various forms of haemorrhagic diseases of the  new born